Most common parotid gland tumor is:
1. Warthins tumor
2. Mucoepidermoid carcinoma
3. Pleomorphic adenoma
4. Adenoid cystic Carcinoma

Correct answer: 3. Pleomorphic adenoma

Explanation: Ans. (c) Pleomorphic adenomaRef: Bailey & Love 26th ed. / 732PLEOMORPHIC ADENOMA* Overall most common tumor of salivary gland* MC benign salivary gland tumor* MC tumor of major salivary glands* MC site is parotid tail (superficial lobe).Also Know* 2nd MC benign tumor of parotid gland: Warthin's tumor* MC malignant tumor of parotid gland: Mucoepidermoid CA* 2nd MC malignant tumor of parotid gland: Adenoid cystic CA